The following structure is involved in Dupuytren's contracture -
1. Thickening of the palmar fascia
2. Thickening of the dorsal fascia
3. Contracture of the flexor tendons
4. Post burns contracture

Correct answer: 1. Thickening of the palmar fascia

Explanation: Dupuytren's contracture is characterised by a flexion deformity of one or more fingers due to thickening and shortening of palmar aponeurosis.Normally palmar aponeurosis is thin but tough membrane lying Immediately beneath the skin of the palm. Proximally it is in continuation with palmaris longus tendon. Distally it divides into slips one for each finger. The slip bends with the fibrous flexor sheaths covering the flexor tendon of the finger , and extends upto the middle phalanx. In Dupuytren's contracture aponeurosis or a part of it becomes thickened and slowly contracts, drawing the fingers into flexion at the metacarpo-phalangeal and proximal interphalangeal joints. Reference- Essential orthopaedics- Maheshwari- 5th edn- pg no 302